Gleason's classification used for -
1. Carcinoma breast
2. Carcinoma prostate
3. Carcinoma pancreas
4. Carcinoma rectum

Correct answer: 2. Carcinoma prostate

Explanation: Several grading systems have been described for prostatic carcinoma, of which the Gleason system is the best.